What is the most common injury sustained due to fall on out - stretched hand by a person aged 65 years?
1. Colle's fracture
2. Supracondylar fracture
3. Shoulder dislocation
4. Fracture of metacarpals

Correct answer: 1. Colle's fracture

Explanation: Most common fracture due to fall on outstretched hand :

In elderly → Colle's fracture.
In children → Supracondylar fracture humerus.